The following condition of GB is precancerous -
1. Cholesterosis
2. Porcelain gall bladder
3. Biliary atresia
4. Choledochal cyst

Correct answer: 2. Porcelain gall bladder

Explanation: Gallbladders containing stones or infectious agents develop cancer as a result of irritative trauma and chronic inflammation. Carcinogenic derivatives of bile acids also may play a role.
Porcelain gallbladder increases the risk of cancer.
Choledochal cysts predispose to stone formation, stenosis and stricture, pancreatitis, and obstructive biliary complications within the liver. In the older patient, the risk of bile duct carcinoma is elevated.